Hyperkalemia, cardiac arrhythmia, ventricular fibrillation leading to death occurs in
1. Dry drowning
2. Seawater drowning
3. Freshwater drowning
4. Secondary drowning

Correct answer: 3. Freshwater drowning

Explanation: The above presentation is characteristic of freshwater drowning.